All are seen in injury to common peroneal nerve except?
1. Loss of sensation over sole
2. Foot drop
3. Injury to neck of fibula
4. Loss of dorsiflexion of toe

Correct answer: 1. Loss of sensation over sole

Explanation: A i.e. Loss of sensation overt soleSole is supplied by medial & lateral plantar and sural branches of tibial nerveQ anteriorly (from medial to lateral) and calcaneal branches of tibial nerveQ posteriorly (i.e. over heel). So it is not affected in common peroneal nerve injury.